AIDS involves:
1. T - helper cells
2. T - suppressor cells
3. T - cytotoxic
4. B. cells

Correct answer: 1. T - helper cells

Explanation: Ans. is 'a' i.e., Helper T Cells (Ref: Ananthanarayan, 9th/e, p. 574, and 8th/e, p. 572)The receptor for the virus is the CD4 antigen on surface. The cells affected are:- CD4 T Cells (major target).- B lymphocytes.- Monocytes and macrophages.- Langerhans cells in dermis.- Glial cells and microglia in the CNS.- Follicular dendritic cells from tonsils can be infected by HIV without the involvement of CD4.